Which of the follow ing is associated with highest risk of Anaphylaxis -
1. Irondextran
2. Iron sucrose
3. Ferumoxytol
4. Iron Gluconate

Correct answer: 1. Irondextran

Explanation: Ans. is 'a' i.e., Iron dextran o The risk of anaphylaxis is maximally associated with high molecular weight dextran (not so with low molecular weight dextran).Intravenous iron preparations Drue# Iron dextran (high molecular weight)# Iron dextran (low molecular weight)Ferric gluconate a Iron sucroseFerumoxytolIron isomahosideFerric carboxymaliose